Cephalometrics was introduced by:
1. Margolis and William Wilson in 1925
2. Tweed and Mills in 1940
3. Bjork and sassouni in 1995
4. Broadbent and Hoftath in 1932

Correct answer: 4. Broadbent and Hoftath in 1932